Following are the differential diagnosis of congenital disorders of pigmentation ?
1. Teitz syndrome
2. Piebaldism
3. Tuberous sclerosis
4. All the above

Correct answer: 4. All the above

Explanation: Ans. is 'd' i.e., All the above Differential diagnosis of congenital disorders of pigmentation Waardenburg syndromes types 1-4 Tietz syndrome Piebaldism Woolf's syndrome Generalized vitiligo Segmental vitiligo Vogt-Koyanagi-Harada syndrome Chemical leukoderma Tuberous sclerosis (hypopigmented macules and patches) Ziprkowski-Margolis syndrome (X-linked albinism-deafness syndrome)